An optic nerve injury may result in all the following except-
1. Loss of vision in that eye
2. Dilatation of pupil
3. Ptosis
4. Loss of light reflex

Correct answer: 3. Ptosis

Explanation: Features of optic nerve injury are:-

Loss of vision/decreased visual acuity.
Loss of direct light reflex on the affected side with preservation of ipsilateral consensual light reflex. Loss of consensual light reflex on contralateral side with preservation of contralateral direct light reflex.
Relative afferent pupillary defect (RAPD) or Marcus Gun pupil. This is the first sign.
Preservation of near reflex (convergence / accommodation reflex) as optic nerve is not involved in the pathway of near reflex.
Diminished light brighness sensitivity and contrast sensitivity.
Central or centrocaecal scotoma.
Diilatation of pupil.